Drug of choice for peptic ulcer disease caused by chronic use of NSAIDS:
1. Pirenzepine
2. Loratadine
3. Misoprostol
4. Esomeprazole

Correct answer: 4. Esomeprazole

Explanation: Ans. D. EsomeprazoleMisoprostol and esomeprazole are both used for NSAID induced ulcer. But PPI are more efficacious for this condition.